In which of the following types of carcinoma of the breast, is a biopsy of the opposite breast advised-
1. Inflammatory carcinoma
2. Medullary carcinoma
3. Lobular carcinoma
4. Scirrhous carcinoma

Correct answer: 3. Lobular carcinoma